A man having multiple, painful, indurated, undermined, sloughed ulcer over glans penis, which occurred 5 days after exposure, most likely diagnosis is:
1. Chancroid
2. Primary chancre
3. Herpes genitalis
4. LGV

Correct answer: 1. Chancroid

Explanation: Ans. a. ChancroidChancre and LGV are painless ulcers. Ulcers of HSV usually have a history of vesicles prior to rupture. Ulcers of chancroid are dirty looking with slough formation and undermined edges.